All are live vaccines except:
1. Japanese encephalitis
2. Rabies
3. Poliomyelitis
4. Typhoid

Correct answer: 2. Rabies

Explanation: b. Rabies(Ref: IAP 260, Nelson's 20/e p, Ghai 8/e p 202-203)For Japanese Encephalitis, Polio & Typhoid, both live & killed vaccines are availableNew generation typhoid vaccines include oral live attenuated Ty21a vaccine, Parenteral Vi-polysaccharide & Vi Polysaccharide Conjugate vaccines; For Rabies, only inactivated vaccines are used.